Acanthosis nigricans is seen in -
1. Diabetes
2. GIT cancer
3. Hypothyroidism
4. All of the above

Correct answer: 4. All of the above

Explanation: Acanthiosis nigraicans are of several types. Benign includes obesity related, hereditary, syndromic, acral, endocrine and drug induced. Malignant associated with gastric adenocarcinoma and genitourinary cancers. Iadvl textbook of dermatology page 1010